Which organism causes toxic shock syndrome -
1. Pneumococcus
2. E. coli
3. Staphylococcus aureus
4. Enterococcus

Correct answer: 3. Staphylococcus aureus

Explanation: Toxic shock syndrome is caused by -


Staphylococcus aureus
Streptococcus pyogenes